Bedsore is an example of which of the following type of ulcer?
1. Tropical ulcer
2. Trophic ulcer
3. Venous ulcer
4. Post thrombotic ulcer

Correct answer: 2. Trophic ulcer

Explanation: Bedsore and perforating ulcers are typical examples of trophic ulcers. Trophic ulcers have punched-out edge with slough in the floor resembling a gummatous ulcer. Factors predisposing its development are: injury, anemia, moisture, pressure and malnutrition. Ref: Bailey and Love's Short Practice of Surgery, 24th Edition, Page 939; A Manual of Clinical Surgery, 6th Edition, Page 51; Schwartz's Principles of Surgery, 9th Edition, Chapter 9.